Not a cause of Madura foot is:
1. Pseudallescheria
2. Actinomycetes
3. Nocardia
4. Mucor

Correct answer: 4. Mucor

Explanation: Mucor